In a premature baby with convulsion after 2 days of birth, first investigation to be done is:
1. Transcranial USG
2. MRI
3. Skull radiography
4. CT skull

Correct answer: 1. Transcranial USG

Explanation: - Intracranial hemorrhage can be a common cause for seizures in a preterm neonate, - It can be picked up easily on a transcranial USG through the open anterior fontanelle.